Food standards for international food market utilizes-
1. ISI
2. AGMARK
3. Codex alimentarius
4. Bureau of India standards

Correct answer: 3. Codex alimentarius

Explanation: Ans. is 'c' i.e., Codex alimentarius Food standardo These are :-CODEX ALIMENTARIUS: The Codex Alimentarius Commission, which is the principle organ of the joint FAO/WHO Food Standard Programme formulates food standards for international market. The food standard in India are based on the standard of the codex alimentarius.PFA STANDARDS: Under the Prevention of Food Adulteration act (1954): standards have been established which are revised from time to time by the 'Central Committee for Food Standards". The purpose of the PFA standards is to obtain a minimum level of quality of foodstuffs attainable under India conditions.THE AGMARK STANDARDS : These standards are set by the directorate of marketing and inspection of the Government of India. The Agmark gives the consumer an assurance of quality in accordance with the standards laid down.BUREAU OF INDIAN STANDARDS : The 1SI mark on any article of food is a guarantee of good quality in accordance with the standards prescribed by the Bureau of Indian Standards for that Commodity.